"Claw Sign" is seen in:
1. Intussusception
2. Volvulus
3. Pyloric stenosis
4. Peptic ulcer

Correct answer: 1. Intussusception

Explanation: Intussusception Claw sign/ filling defect seen at the mid transverse colon representing the intussceptum with progressive reduction as we go through the study.